In shigella dysentery associated hemolytic uremic syndrome, the false statement is -
1. Leucocytosis
2. Neurological abnormalities
3. Hepatic failure
4. Thrombotic angiopathy

Correct answer: 3. Hepatic failure